Best vein for total parenteral nutrition is -
1. Subclavian vein
2. Femoral vein
3. Brachial
4. Saphenous

Correct answer: 1. Subclavian vein

Explanation: The preferred site for central vein infusion is the superior vena cava & preferred access sites are subclavian > jugular > femoral vein.